Nerve supply to hypothenar muscles is from :
1. Ulnar nerve
2. Median nerve
3. Radial nerve
4. Musculocutaneous nerve

Correct answer: 1. Ulnar nerve

Explanation: The muscles of hypothenar eminence are:Opponens digiti minimiFlexor digiti minimiAbductor digiti minimiPalmar brevisThe intrinsic muscles of hand can be remembered using the mnemonic, "A OF A OF A (P)" for, Abductor pollicis longus, Opponens pollicis, Flexor pollicis brevis, Adductor pollicis (thenar muslces) and Opponens digiti minimi, Flexor digiti minimi, Abductor digiti minimi and Palmar brevis (Hypothenar muscles)They are all supplied by the deep branch of the ulnar nerve.